Vitamin A deficiency is characterized by all, EXCEPT:
1. Bitot's spot
2. Xerophthalmia
3. Night blindness
4. Tranta's spot

Correct answer: 4. Tranta's spot

Explanation: The most characteristic and specific signs of vitamin A deficiency are eye lesions. These develop before the age of 2 years. All the ocular manifestation of Vitamin A deficiency, term Xerophthalmia. Xerophthalmia (Dry eye): It has following stages: 1)Night blindness (earliest ocular symptom, conjunctival xerosis (earliest ocular sign) 3)Bitot's spot 4)Corneal xerosis 5)Keratomalacia and corneal ulcers. Tranta's spot is seen in Vernal keratoconjunctivitis. Ref: O.P.Ghai 6th Ed Page 120,121.